All are causes of amenorrhoea EXCEPT :
1. Pituitary adenoma
2. Chronic nephritis
3. Tubercular endometritis
4. Adenomyosis

Correct answer: 4. Adenomyosis

Explanation: Adenomyosis